Genu of internal capsule carries:
1. Optic radiation
2. Corticospinal
3. Corticorubral tract
4. Corticonuclear tract.

Correct answer: 4. Corticonuclear tract.

Explanation: D i.e. Corticonuclear